Juice rich in water/electrolytes, poor in enzymes is secreted from the organ by?
1. Secretin
2. CCK
3. Gastrin
4. Somatostatin

Correct answer: 1. Secretin

Explanation: Ans. (a) Secretin(Ref: Ganong, 25th ed/p.460)Secretin stimulates exocrine pancreas to secrete pancreatic juice rich in water and bicarbonate